Which of the following is the longest and thinnest ocular muscle?
1. Medial rectus
2. Lateral rectus
3. Superior oblique
4. Inferior oblique

Correct answer: 3. Superior oblique

Explanation: Superior oblique is the longest and thinnest of the ocular muscles. It originates above and medial to the optic foramen and partially overlaps the origin of the levator palpebrae superioris muscle. It has a thin, fusiform belly and passes anteriorly in the form of a tendon to its trochlea. It is then reflected backwards and downwards as a further length of tendon to attach in a fan shape to the sclera beneath the superior rectus. Superior oblique is innervated by trochlear nerve. Inferior oblique, medial rectus, superior rectus, inferior rectus are innervated by occulomotor nerve. Lateral rectus is innervated by abducens nerve. Ref: Riordan-Eva P. (2011). Chapter 1. Anatomy & Embryology of the Eye. In P. Riordan-Eva, E.T. Cunningham, Jr. (Eds), Vaughan & Asbury's General Ophthalmology, 18e.